Child was seen taking off clothes while watching TV; he suddenly closes eyes for sometime and was lethargic after sometime. He had probably
1. GTCS
2. Absence seizures
3. Temporal lobe epilepsy
4. febrile seizures

Correct answer: 3. Temporal lobe epilepsy

Explanation: (C) Temporal lobe epilepsy# EMOTIONAL EXPERIENCES as a result of seizure, while less common, may be dramatic-fear, sadness, loneliness, anger, happiness, and sexual excitement have all been recorded.> Fear and anxiety are the most common affective experiences, while occasionally the patient describes a feeling of rage or intense anger as part of a complex partial seizure.> Ictal fear has no apparent connection to objective experience and is generally not related to the situation in which the patient finds himself during the seizure.> Each of these subjective psychic states may constitute the entire seizure or some combination may occur and immediately precedes a period of altered awareness.